The anterior pituitary is mainly composed of the following secretory cells
1. Somatotrope
2. Lactotrope
3. Thyrotrope
4. Corticotrope

Correct answer: 1. Somatotrope

Explanation: Hormone - secreting cells of the human anterior pituitary gland. Cell Type hormones Secreted percentage of Total secretory Cells Somatotrope Growth hormone 50 Lactotrope Prolactin 10-30 Corticotrope ACTH 10 Thyrotrope TSH 5 Gonadotrope FSH, LH 20 ACTH, adrenocorticotropic hormone; FSH, follicle-stimulating hormone; LH, luteinizing hormone; TSH, thyroid-stimulating hormone.